In cervical incompetence, encirclage operation done are:a) Mc Donald operationb) Shirodkar operationc) Purandare's operationd) Khanna's sling operatione) Abdominal sling operation
1. ab
2. a
3. ad
4. bc

Correct answer: 1. ab